According to myogenic theory of renal autoregulation, the afferent arterioles contract in response to stretch induced by
1. NO
2. Noradrenalin
3. Opening of Ca2+ channels
4. Adenosine release

Correct answer: 3. Opening of Ca2+ channels

Explanation: Myogenic autoregulation - through opening of Calcium channels Tubuloglomerular feedback - through release of adenosine Ref: Ganong 25th ed/page 678